MC malignant bone tumour is:
1. Osteosarcoma
2. Osteoclastoma
3. Secondaries
4. Multiple myeloma

Correct answer: 3. Secondaries

Explanation: Ans. C i.e. Secondaries